Lactic acidosis is not seen in -
1. Methanol poisoning
2. Respiratory failure
3. Circulatory failure
4. Tolbutamide

Correct answer: 4. Tolbutamide

Explanation: An increase in plasma l-lactate may be secondary to *poor tissue perfusion (type A)--circulatory insufficiency (shock, cardiac failure), severe anemia, mitochondrial enzyme defects, and inhibitors (carbon monoxide, cyanide) * aerobic disorders (type B)-- malignancies, nucleoside analogue reverse transcriptase inhibitors in HIV, diabetes mellitus, renal or hepatic failure, thiamine deficiency, severe infections (cholera, malaria), seizures, or drugs/toxins (biguanides, ethanol, methanol, propylene glycol, isoniazid, and fructose). *Unrecognized bowel ischemia or infarction *Pyroglutamic acidemia has been reported in critically ill patients receiving acetaminophen, which is associated with depletion of glutathione. d-Lactic acid acidosis, which